Which of the following drug produce analogous action on dilator pupillae as is produced by pilocarpine on sphincter pupillae?
1. Epinephrine
2. Hydroxyamphetamine
3. Cocaine
4. Timolol

Correct answer: 1. Epinephrine

Explanation: Ans. (A) Epinephrine(Ref: KDT 8th/e p114, 144)Pilocarpine is a parasympathomimetic drug. It causes contraction of sphincter pupillae and result in miosis. Epinephrine results in contraction of dilator pupillae and result in mydriasis.